Prostaglandin causing renal vasodilation:
1. PGD2
2. PGE2
3. PGF2
4. All

Correct answer: 2. PGE2

Explanation: B i.e. PGE2 Blood vesselsPlateletsBronchiKidneyUterusPGE2VasodilationVariable effectDilatationVasodilatationRenin releaseContractionSoftening of cervix ContractionSoftening of cervixPFF2aVasodilation-Constriction-PGI2VasodilationAntiaggregatoryDilatationVasodilationRenin release?TXA2VasoconstrictionAggregationConstrictionVasoconstriction-